All are true regarding Mechanism of action except:
1. Chloramphenicol - Protein synthesis
2. Tetracycline - Cell wail synthesis
3. Metronidazole -- DNA
4. Penicillin - cell wall synthesis

Correct answer: 2. Tetracycline - Cell wail synthesis

Explanation: Ref: Basic & Clinical Pharmacology Katzung 12th ed. p.8J8Explanation:Tetracycline inhibits bacterial protein synthesis by- binding to 30S ribosomal subunit. The remaining drugs are matched correctly with their mechanism of action.